High heat obturation technique refers to
1. Thermofill
2. Ultrafill
3. Sectional filling
4. Obtura II

Correct answer: 4. Obtura II